A patient Manoj with severe pain thought to be of gastrointestinal origin received 60 mg of meperidine subsequent to which he developed reaction characterized by tachycardia, hypertension, hyperpyrexia, and seizures. He gave the history that he is also taking some medicine for his psychiatric condition. Which of the following drug can be held responsible for this sort of reaction?
1. Alprazolam
2. Imipramine
3. Lithium
4. Phenelzine

Correct answer: 4. Phenelzine